What is the appropriate management of seizures complicating hypertension during pregnancy?
1. MgSo4 as I.V or I.M as pritchards regime
2. Pethidine, promethazine, chlorpromazine.as 'Lytic cocktail'
3. Intravenous Hydrallazine
4. Lean's (Benzodiazepine) regime

Correct answer: 1. MgSo4 as I.V or I.M as pritchards regime

Explanation: The appropriate management of seizures complicating hypertension during pregnancy(Eclampsia) is Pritchard regimen. Pritchard regimen I.M. & I.V. regime This is the most preferred and the 'method of choice' Loading dose-Start with a loading dose of 14g in which 4g given as intravenous and 10g given as intramuscular Maintenance dose - Maintain 5 gm 4 hourly till 24 hours pass after delivery or 24 hours pass after the last convulsion Whichever is later. Meanwhile monitor the patient for the following prior to giving the next dose Respiratory rate: >14/min, Output >100ml in last 4 hours Knee jerks are present